Screening of prostate CA is commonly done by
1. DRE (digital rectal exam) & PSA
2. MRI pelvis
3. TURP
4. TRUS

Correct answer: 1. DRE (digital rectal exam) & PSA

Explanation: Screening of prostate cancerPSAIn general, one would advise men aged50-69 years to undergo prostate biopsy if the PSA was more than ~3 ng/mL. The threshold would be lower in younger men with a strong family history.DREIrregular induration, characteristically stony hard in part or in the whole of the gland (with obliteration of the median sulcus), suggests carcinomaBailey and love 27 e pg: 1458